Chances of an offspring being affected when one parent is autosomal dominant heterozygote -
1. 25%
2. 50%
3. 100%
4. None

Correct answer: 2. 50%